All of the following are markers of active replicative of chronic hepatitis B, except:
1. HBV DNA
2. HBV DNA Polymerase
3. HBeAg
4. AST & ALT

Correct answer: 4. AST & ALT

Explanation: Answer is D (AST & ALT) AST & ALT levels are not considered markers fir active viral replication. . HBV DNA, HBV DNA polymerase and HBeAg levels are all considered markers.* active viral replication, with HBV DNA being the most sensitive marker (gold standard)